A person breaks someone's mandible in alleged fight. Police can:
1. Arrest with warrant
2. Arrest without warrant
3. Declare him hostile
4. Put him in mental asylum

Correct answer: 2. Arrest without warrant

Explanation: Ans. Arrest without warrant